In cochlear implants, electrodes are most commonly placed at:
1. Oval window
2. Round window
3. Horizontal semicircular canal
4. Cochlea

Correct answer: 4. Cochlea

Explanation: The inside component, the actual implant, has a coil to receive signals, electronics, and an array of electrodes which is placed into the cochlea, which stimulate the cochlear nerve